Alopecia aerate is presumed to be:
1. Androgenic in nature
2. Autoimmune in etiology
3. Infective in etiology
4. Part of lichenoid in spectrum

Correct answer: 2. Autoimmune in etiology

Explanation: B. i.e. Autoimmune in etiology